DENOSUMAB a monoclonal antibody against RANKL receptor is used in the treatment of
1. Rheumatoid arthritis
2. Osteoporosis
3. Osteoarthritis
4. SLE

Correct answer: 2. Osteoporosis

Explanation: Ans. is 'b' i.e. Osteoporosis Osteoclast is a cell responsible for bone resorption.Osteoclasts express RANK receptors on its surface (RANK receptor activator for nuclear factor)When RANK receptor combine with their ligands (RANKL), osteoclastogenesis is a initiated and bone resorption occurs.Denosumab is a fully humanized monoclonal antibody against RANK ligand.It prevents the activation of the osteoclasts by these ligand.Note:Osteoporosis is a disease characterized by decrease in the bone massIn osteoporosis there is increase in the osteoclast activity and there is increased expression of RANK and RANKL.